Which of the following is not seen in blunt trauma to eye
1. Retinal detachment
2. Double perforation in iris
3. Hyphaema
4. Iridiodialysis

Correct answer: 2. Double perforation in iris

Explanation: Retinal detachment, hyphaema and iridodialysis can occur in blunt ocular trauma.